Angle between nasal septum and lower border of upper lateral cartilage is ____
1. 40 0
2. 60 0
3. 500
4. 15 0

Correct answer: 4. 15 0

Explanation: - Angle between the nasal septum and lower border of upper lateral cartilage is generally > 10-15deg The internal nasal valve, in normal development, is thenarrowest portion of the nasal cavity and is bounded bythe septum medially, caudal edge of the upper lateral cartilage and head of the inferior turbinate laterally and nasalfloor inferiorly. The apex of the internalnasal valve is approximately 10-15 degrees in Caucasiansand wider in non-Caucasian populations.